Bone with a bone appearance is seen in
1. Osteogenesis imperfecta
2. Osteopetrosis
3. Scurvy
4. Rickets

Correct answer: 2. Osteopetrosis

Explanation: Bone within bone appearance is seen in : Osteopetrosis Acromegaly Bisphophonate therapy sickle cell anemia Healed phase of rickets and scurvy. Normal neonate.